Which of the following drugs binds to alubumin
1. Penicillin
2. Lidocaine
3. Propanonol
4. Verapamil

Correct answer: 1. Penicillin

Explanation: acids drugs binds to albumin whereas basic drugs to alpha,acid glycoprotein Pencillin is an acid drug so it binds to albumin Ref-KDT 6/e p20